All true regarding fracture lateral condyle humerus except:
1. Salter Harris type IV injury
2. Most common complication of surgically treated cases is cubitus valgus deformity
3. Tardy ulnar nerve palsy occurs
4. Cubitus varus occur more commonly than valgus

Correct answer: 2. Most common complication of surgically treated cases is cubitus valgus deformity

Explanation: B i.e. Most common complication of surgically treated cases is cubitus valgus deformity Fracture Lateral Condyle Humerus This is a transphyseal intraarticular injury usually involving immature skeleton of children & adolescent. Salter Harris classified all lateral condylar physeal injuries as type IV injuries but some authors have classifie some lateral condylar fractures (Mulch type 2 i.e. fracture line medial to trochlear groove) as salter Harris type II injury. Although these fractures may be either Salter Harris type IV & type II injury fracture treatment guidelines follow those of type IV injury :.open reduction & internal fixation of displaced intra - articular fracturesQ with the potential for mild growth disturbance of distal humeral physis. Cubitus varus/Lateral spur formation (pseudo-varus) is the most commonlyQ reported (-40%) complication following lateral condyle fracture. Delayed union/ nonunion is most fraquent problematic complicationQ. The most common sequela of nonunion with displacement is the development of progressive cubitus valgus deformityQ. Cubitus valgus is much less common after united lateral condylar fractures than cubitus varus. Tardy ulnar nerve palsyQ is a late complication of progressive cubitus valgus deformity occuring in lateral condylar fractures. Growth (physial) arrest, avascular necrosis & fishtail deformity are other rare complications.